A 62-year-old woman with multiple myeloma is given pamidronate calcium biphosphonates. This treatment has been shown to do what?
1. Increase survival
2. Improve quality of life and protect against skeletal fractures
3. Stimulate osteoclast
4. Increase hypercalcemia

Correct answer: 2. Improve quality of life and protect against skeletal fractures

Explanation: In multiple myeloma, pamidronate calcium biphosphonates has been found to be useful as an adjunctive treatment, reducing the incidence of skeletal fractures.